Following is a disorder of X-linked inheritance
1. Sickle cell anaemia
2. Galactosemia
3. Thalassemia
4. Colour Blindness

Correct answer: 4. Colour Blindness

Explanation: Colour blindness (Red-green colour blindness) is an X-Linked Recessive Disorder. X-Linked Recessive Disorders X-Linked Dominant Disorders Color Blindness (Red Green Color Blindness) Lesch-Nyhan Syndrome Duchene Muscular Dystrophy Becker muscular dystrophy Hunter's disease Fabry's Disease Menke's Disease (Kinky hair syndrome) Glucose 6 Phosphate Dehydrogenase Deficiency Hemophilia A and B Wiskott Aldrich syndrome Bruton's Agammaglobulinemia Complete Androgen Insensitivity (testicular feminization) Ocular Albinism Alport syndrome (Most cases) Fragile X syndrome RETTs syndrome Hypophosphotemia rickets (X-Linked Dominant) Incontinentia pigmenti X Linked Charcot Marie Tooth Disease (CMTX is inherited in an X-Linked dominant pattern) Goltz syndrome (Focal dermal hypoplasia (FDH)) Giuffre-Tsukahara syndrome Ref: harper